A person is suffering from HIV, resident treating the
patient got needle prick what should be the immediate management/treatment taken
1. Prophylactic vaccination
2. Antiretroviral therapy
3. Vaccination + ART
4. Test for HIV

Correct answer: 2. Antiretroviral therapy